The immunoglobulin most commonly involved in Multiple Myeloma is :
1. IgG
2. IgM
3. IgA
4. IgD

Correct answer: 1. IgG

Explanation: Answer is A(IgG) The M component in Multiple Myeloma can be made up of the immunoglobulins IgG, IgM, IgD, IgA, and IgE; light chains alone; or heavy chains alone. IgG Myeloma is the most common form of Multiple Myeloma while IgD (2%) and IgE (Rare) are the least common. Distribution of immunoglobulin types in patients with multiple myeloma Type of protein Percentage (%) IgG 52 IgA 22 IgM 12 IgD 2 IgE Rare